A method of strangulation of neck by the bend of elbow is called
1. Mugging
2. Garroting
3. Bansdola
4. Throttling

Correct answer: 1. Mugging

Explanation: Refer the byte "Hanging and Strangulation".